Segmented genome is found in all except --
1. Influenza virus
2. Reovirus
3. Bunyavirus
4. Rhabdovirus

Correct answer: 4. Rhabdovirus

Explanation: repeat